Following can be used in the treatment of myoclonic seizures except
1. Valporate
2. Carbamazepine
3. Topiramate
4. Zonisamide

Correct answer: 2. Carbamazepine

Explanation: Myoclonic seizures occur in a variety of epilepsy syndromes ( West syndrome/ Infantile spasms, Lennox - Gastaut syndrome ) -Sodium valproate ,Topiramate,Zonisamide, Levetiracetam,Clonazepam,Nitrazepam, or Clobazam may be used in the treatment of myoclonic seizure. Ref : Ghai - 8th edition , pg no : 559 , 560 ( table 18.5)